Which of the following condition is associated with focal and diffuse thickening of gall bladder wall with high amplitude reflections and 'comet tail' artifacts on USG?
1. Cholesterolosis
2. Adenomyomatosis
3. Carcinoma of gall bladder
4. Xanthogranulomatous cholecysitis

Correct answer: 2. Adenomyomatosis

Explanation: Focal diffuse thickening of gall bladder wall with high amplitude reflections and 'comet tail' artifacts on USG suggest the diagnosis of adenomyomatosis. Adenomyomatosis is a benign condition characterized by slow growth, enlarged gall bladder wall and hyperplasia of the gall bladder mucosa forming invaginations through the muscular layers, well known as 'Rokintansky-Aschoff sinuses' which causes the 'comet tail' tail artifact in the USG. It may produce focal, segmental or diffuse mural thickening. Ref: Diseases Of The Gallbladder And Bile Ducts:Diagnosis and Treatment By Pierre Alain Clavien, John Baillie, Page 110; Differential Diagnosis in Ultrasound : A Teaching Atlas By Guenter Schmidt, Page 125